Cauliflower ear is due to ?
1. Hematoma
2. Carcinoma
3. Fungal infection
4. Herpes

Correct answer: 1. Hematoma

Explanation: Ans. is 'a' i.e., Hematoma Hematoma of the auricle It is the collection of blood between the auricular cartilage and its perichondrium. It usually occurs due to blunt trauma and often seen in boxers, wrestlers and rugby players, therefore it is also called Boxer's ear. Extravasated blood may clot and then organise, resulting in typical deformity called, Cauliflower ear. If haematoma gets infected, severe perichondritis may set in.